The cardiac output can be determined by all except
1. Fick's principle
2. V/Q ratio
3. Echocardiography
4. Thermodilution

Correct answer: 2. V/Q ratio

Explanation: Methods to determine the Cardiac output

Flowmeter
Cardiometer

-        Indirect method- Used in humans

Fick’s principle method
Indicator dilution method
Thermodilution method
Doppler echocardiography
Cineradiography